All are protease inhibitor EXCEPT :
1. Ritonavir
2. Amprenavir
3. Tenofovir
4. Nelfinavir

Correct answer: 3. Tenofovir